Which of the major histocompatibility antigens is associated with an increased risk of Multiple Sclerosis?
1. A3
2. B27
3. DR2
4. DR3

Correct answer: 3. DR2

Explanation: Histocompatibility antigens are glycoproteins that are expressed at the surface of all vertebrate cells. Human HLA antigens are present on the surface of all nucleated cells. Major histocompatibility antigens are major antigens responsible for tissue recognition, and stimulate the acute, rapid type of graft rejection. Each person has unique HLA antigens. The presence of some HLA antigens have been correlated with the certain autoimmune diseases. Susceptibility to MS is linked to the HLA-DR2 haplotype. The severity of iron overload in hemochromatosis is determined predominantly by genetic factors, namely the expression of HLA-A3 region of the major histocompatibility complex. 85% of patients with Reiter's syndrome will have HLA-B27 antigen present on leukocytes. There is a strong association between type 1 diabetes mellitus and specific HLA-D phenotypes, particularly HLA-DR3. Also Know: The onset of multiple sclerosis is usually in the years from 20 to 40. Sixty percent of patients are female.There is an increased familial incidence, a 25% concordance in identical twins compared with 2-3% in fraternal twins, and an association with human leukocyte antigen (HLA)-B7 and -DR2. Ref: Chandrasoma P., Taylor C.R. (1998). Chapter 64. The Central Nervous System: III. Traumatic, Vascular, Degenerative, & Metabolic Diseases. In P. Chandrasoma, C.R. Taylor (Eds), Concise Pathology, 3e.